Hydrochlorothiazide works by inhibiting
1. Na+ CI pump in late DCT
2. Na+ CI pump in early DCT
3. Na+ K+ 2CT pump in descending limb of loop of Henle
4. Na+K+2CT pump in ascending limb of loop of Henle

Correct answer: 2. Na+ CI pump in early DCT

Explanation: Thiazide diuretics: Inhibits Na-Cl- symporter in early DCT acts on distal tubule Includes- chlorothiazide, indapamide Decreases Na+, K+, Mg2+, H+ Increases glucose, uric acid, lipid Increase in calcium - used in osteoporosis Name Site of action Example Mechanism Loop diuretics Thick ascending limb of Loop of Henle Furosemide, Torsemide Na-K-2Cl symporter inhibition Carbonic anhydrase inhibitors PCT Acetazolamide, Dorzolamide, Brinzolamide Carbonic anhydrase inhibition Thiazides DCT Hydrochlorothiazide, Chlorthalidone Na-Cl symporter inhibition Osmotic diuretics Non-specific Mannitol By osmotic effect Epithelial sodium channel blockers Collecting duct Amiloride, Triamterene eNa channel blockade Aldosterone antagonists Collecting duct Spironolactone, Eplerenone Antagonism of aldosterone receptors